Delusion is the disorder of
1. Thought
2. Perception
3. Always organic
4. Always psychiatric

Correct answer: 1. Thought

Explanation: DELUSION is false belief in something that is not true.Types of delusions are:1. Primary delusions (autochthonous delusions): Arise denovo, cannot be explained on the basis of other experiences or perceptions. They are characteristic of early schizophrenia.2. Secondary delusions: Commonest delusions seen in clinical practise and seen in many psychological disorders.Commonly seen delusions in schizophrenia are:1. Delusion of grandeur 2. Delusion of persecution 3. Delusion of reference 4.Delusion of control.